Contraindication of Coitus interruptus is:
1. Erectile dysfunction
2. Perimenopausal age
3. Premature ejaculation
4. Illiterate male partner

Correct answer: 3. Premature ejaculation

Explanation: Withdrawal method or coitus interruptus means the discharge of semen outside the female genitalia at the end of intercourse. Premature ejaculation is the only contraindication. The advantages of the withdrawal method are that it (a) involves no expense, (b) needs no medical supervision, (c) requires no prior preparation, and (d) causes no definite harm. The main drawbacks are the lack of full sexual satisfaction and the relatively higher failure rate.